The lab reports of a patient given below pH = 7.2 HCO3 - 10meq/L PCO2= 30mm HG This exemplifies which of the following disorder
1. Respiratory acidosis
2. Respiratory alkalosis
3. metabolic acidosis
4. metabolic alkalosis

Correct answer: 3. metabolic acidosis

Explanation: REF : HARRISONS 21ST ED